Components separation technique in hernia helps by:
1. Lesser infection
2. Decrease suture line tension
3. Lower recurrence
4. None of the above

Correct answer: 2. Decrease suture line tension

Explanation: Ramirez first described the components separation technique. Components separation entails the creation of large subcutaneous flaps lateral to the fascial defect followed by incision of the external oblique muscles and, if necessary, incision of the posterior rectus sheath bilaterally. Fascial releases allow for primary apposition of the fascia under far less tension than in simple primary repair. Components separation hernia repair is associated with a high wound infection risk (20%) and a recurrence rate of 18.2% at 1 year. Ref: Schwartz's principle of surgery 9th edition, chapter 39.